Possibility of vertical transfer of HIV infection if no prophylaxis is given:
1. 25%
2. 50%
3. 75%
4. 100%

Correct answer: 1. 25%

Explanation: Ans. A: 25% Probability of vertical transfer of HIV infection if no prophylactic antiretroviral therapy is given to the mother during pregnancy,labor and delivery and to the newborn ranges from 15-25% in the industrialized countries and from 25-35% in the developing countries.